Recalcitrant acne is treated by:
1. Oral erythromycin
2. Oral tetracycline
3. Retinoids
4. Steroids

Correct answer: 3. Retinoids

Explanation: The European S3 guidelines recommend isotretinoin for the treatment of severe recalcitrant acne or moderate acne that has failed to respond to conventional antibiotic therapies. Retinoids - Isotretinoin : D.O.C for severe / gd 4 / nodulocystic acne/ acne conglobata. Dose 0.5 - 1 mg / kg body weight to be given till cumulative dose of 120-150mg/kg body weight.